Difference between typical cervical & thoracic vertebra
1. Has a triangular body
2. Has a foramen transversarium
3. Superior articular facet directed backwards & upwards
4. Has a large vertebral body

Correct answer: 2. Has a foramen transversarium

Explanation: In cervical vertebrae, the transverse process is pierced by foramen transversaria